Which of these statements regarding the conduction system of the heart is TRUE
1. The sinoatrial (SA) node of the heart acts as the pacemaker
2. The SA node is located on the upper wall of the left atrium.
3. The AV node conducts action potentials rapidly through it.
4. Action potentials are carried slowly through the atrioventricular bundle.

Correct answer: 1. The sinoatrial (SA) node of the heart acts as the pacemaker

Explanation: A: The SA node is the heart’s natural pacemaker.
B: The SA node consists of a cluster of cells that are situated in the upper part of the wall of the right atrium (the right upper chamber of the heart).
C: When action potentials reach the AV node, they spread slowly through it.
D: Action potentials pass slowly through the atrioventricular node.